Which of the following is the primary reason for using plastic teeth in a removable partial denture? Plastic teeth are:
1. Resistant to wear
2. Resistant to stains
3. Esthetically acceptable
4. Retained well in acrylic resin

Correct answer: 4. Retained well in acrylic resin